The gastroduodenal artery is derived from:
1. Celiac artery
2. Hepatic artery
3. Splenic artery
4. Cystic artery

Correct answer: 2. Hepatic artery

Explanation: B i.e. Hepatic artery